Which is the most essential fatty acid?
1. Linolenic acid
2. Linoleic acid
3. Arachidonic acid
4. Oleic acid

Correct answer: 2. Linoleic acid

Explanation: Most essential fatty acid is Linoleic acid (18-C, 2 double bonds). Linoleic acid Precursor of omega-6. Synthesize : Gamma Linolenic acid Arachidonic acid. Polyunsaturated fatty acids / Essential Fatty Acids (EFA) Cannot be synthesized in body. Enzymes that can introduce double bonds beyond 9th carbonare absent in humans. 2 essential fatty acids in diet - Linoleic and a-Linolenic acid. Most Essential Fatty Acid- Linoleic acid (because it can synthesize Arachidonic acid).